Regarding breast cancer all are true except:
1. Increased incidence with increase in age
2. Medullary carcinoma with high mitotic index has poorest prognosis
3. Involvement of subdermal lymphatics carries poor prognosis
4. Increase in incidence with estrogen exposure

Correct answer: 2. Medullary carcinoma with high mitotic index has poorest prognosis

Explanation: Most important risk factor for malignancy: Increasing Age Most conspicuous sign of Breast Cancer: Peau D Orange- cause is lymphatic permeation by tumor cells -increase risk of lymph node metastasis - increases risk of distant metastasis Hyperestrogenemia like in nulliparity late first full-term pregnancy, early menarche, late menopause - increases risk of Breast Cancer Type of Breast Cancer with worst /poorest prognosis - Inflammatory Breast Cancer Aka Mastitis Carcinomatosa